Nerve for adductor compartment of thigh
1. Femoral nerve
2. Obturator nerve
3. Superior gluteal nerve
4. Inferior gluteal nerve

Correct answer: 2. Obturator nerve

Explanation: OBTURATOR NERVE:- Branch of lumbar plexus Nerve of adductor compartment Arises from ventral division of ventral rami of L2,L3,L4 segments. It emerges on the medial border of psoas major muscle within the abdomen.It crosses the pelvic brim to run downwards and forwards on the lateral wall of pelvis to reach upper part of obturator foramen. Terminates by dividing into anterior and posterior Divisions. BRANCHES:-Anterior division 1. Muscular branches: pectineus, adductor longus, adductor brevis,gracilis.2. Articular: hip joint.3. Vascular and cutaneous: femoral artery.Posterior division 1. Muscular: obturator externus,adductor magnus(adductor part)2. Articular: knee joint 3. Vascular and cutaneous: popliteal artery. {Reference: BDC 6E pg no. 172}